Orchitis without epididymitis is seen in -
1. Gonorrhoea
2. Tuberculosis
3. Syphilis
4. Chlamydia infection

Correct answer: 3. Syphilis